Diabetes mellitus is diagnosed if fasting blood glucose is?
1. >100
2. >126
3. >110
4. >116

Correct answer: 2. >126

Explanation: ANSWER: (B) >126REF: Harrison's 18th ed ch: 344Criteria for the Diagnosis of Diabetes MellitusSymptoms of diabetes plus random blood glucose concentration >11.1 mmol/L (200 mg/dL)orFasting plasma glucose >7.0 mmol/L (126 mg/dL)orHBA1C > 6.5%:orTwo-hour plasma glucose >11,1 mmol/L (200 mg/dL) during an oral glucose tolerance test